Treatment of choice for a patient with acquired vesicoureteric reflux with UTI?
1. Cotrimoxazole
2. Bilateral reimplantation of ureter
3. Injection of Collagen in the ureter
4. Endoscopic resection of ureter

Correct answer: 1. Cotrimoxazole

Explanation: Acquired renal scarring results from an episode or repeated episodes of acute pyelonephritis caused by infected urine in the presence of VUR. Infection activates a cascade of mediators, which leads to renal epithelial cells damage. Treatment with antibiotics during the first week after infection appears to limit inflammation, and consequently, scar formation. Only fine linear scars extending through the cortex and small dimpling of the renal surface are evident if appropriate antibiotic therapy is instituted during the early inflammatory phase. Ref: Nguyen H.T., Tanagho E.A. (2009). Chapter 39. Reflux Nephropathy. In E.V. Lerma, J.S. Berns, A.R. Nissenson (Eds), CURRENT Diagnosis & Treatment: Nephrology & Hypertension.